A married woman died in unnatural conditions within 5 years of her marriage. Her parents complained of frequent demand of dowry. Her autopsy will be conducted under which section:
1. Sec. 174 CrPC
2. Sec. 176 CrPC
3. Sec. 302 IPC
4. Sec. 304B IPC

Correct answer: 2. Sec. 176 CrPC

Explanation: Ans. Sec. 176 CrPC